True about diabetes in pregnancy :
1. Macrosomia
2. IUGR
3. Congenital anomalies
4. All

Correct answer: 4. All

Explanation: Ans. is a, b and c i.e. Macrosomia, IUGR; and Congenital anomalies